All are true about "Perjury" Except
1. Sec 191 CrPC refers to it
2. Punishment for perjury in court trail case is 7 years
3. Fabrication of evidence
4. Punishment for perjury in all other cases is 3 years

Correct answer: 1. Sec 191 CrPC refers to it

Explanation: IPC section 191 defines perjury. "When a person, who is under legal obligation, either under oath or under any provision of law, to state the truth, to declare upon any subject, knowingly makes false statement, the statement which he believes that it is false or he believes that it is not true, commits the offence under this section." IPC Section 193 Punishment for false evidence.--Whoever intentionally gives false evidence in any stage of a judicial proceeding, or fabricates false evidence for the purpose of being used in any stage of a judicial proceeding, shall be punished with imprisonment of either description for a term which may extend to seven years, and shall also be liable to fine, and whoever intentionally gives or fabricates false evidence in any other case, shall be punished with imprisonment of either description for a term which may extend to three years, and shall also be liable to fine. Ref - Krishnan Vij 5th edition pg 11